Normal anteflexion of uterus ?
1. 90deg
2. 100deg
3. 125deg
4. 140deg

Correct answer: 3. 125deg

Explanation: Ans. is 'c' i.e., 125deg